Secondary level prevention of CA cervix:
1. Vaccination
2. Pap smear
3. Colposcopy
4. Spectroscopy

Correct answer: 2. Pap smear

Explanation: Ans. B. Pap smearCervix cancer is the second most common cause of female specific cancer after breast cancer* Primary prevention of a disease requires warding it off before the pathogenic process can occur. In the case of cervical cancer, this would require that infection of the will be cervix prevented. It could be achieved either by complete abstinence from sexual activity or with a vaccine.* Secondary prevention stops the progression of disease once it has already started. A good example of secondary prevention is cytologic screening to detect cervical cancer precursors, followed by treatment to prevent progression to cancer.